Which of the following is fastest acting inhalational anaesthetic agent?
1. Halothane
2. Desflurane
3. Sevoflurane
4. Isoflurane

Correct answer: 2. Desflurane

Explanation: (Refer: Morgan and Mikhail's Clinical Anaesthesiology, 5th edition, pg no.170-171)